Marker of bone resorption / Osteoclast marker is:
1. Alkaline phosphatase
2. Procollagen 1 N propeptide
3. C - telopeptide
4. Osteocalcin

Correct answer: 3. C - telopeptide

Explanation: C i.e. C-telopeptideRef: Robbins Pathology, 9th edition, page 1180Explanation:Biochemical Markers of Bone ResorptionAmino and carboxy terminal crosslinking telopeptide of bone collagen.Pyridinoline.Free lysyl-pyridinoline.Tartarate-resistant acid phosphatase (TRAP).Hydroxyproline (not very specific).